ETDRS vision chart study is done in patients with diabetic retinopathy. ETDRS stands for :
1. Extended therapy for diabetic retinopathy & its study
2. Emergency treatment for diabetic retinopathy and study
3. Eye testing or rotatory drum & its study
4. Early treatment for diabetic retinopathy study

Correct answer: 4. Early treatment for diabetic retinopathy study

Explanation: Ans. is 'd' i.e., Early treatment for diabetic retinopathy study By seeing these type of questions, don't make an impression that anything can be asked from anywhere in PG exams. These are always 2-3 rare questions in a paper and they are very rarely repeated. Don't let them deter you from preparing the most probable topics and questions. Prepare the most probable and most probably you get selected.